All of the following are branches of subclavian artery except -
1. Vertebral artery
2. Thyrocervical trunk
3. Subscapular artery
4. Internal thoracic artery

Correct answer: 3. Subscapular artery